Chloride shift is due to
1. Generationof HCO3 in RBC's
2. Metabolism of glucoses in RBC's
3. Formation of O2-Hb complex in RBC's
4. Release of K in RBC's

Correct answer: 1. Generationof HCO3 in RBC's

Explanation: Chloride shift (also known as the Hamburger phenomenon or lineas phenomenon, named after Haog Jakob Hamburger) is a process which occurs in a cardiovascular system and refers to the exchange of bicarbonate (HCO3-) and chloride (Cl-) across the membrane of red blood cells (RBCs Ref: guyton and hall textbook of medical physiology 12 edition page number:360,361,362